Fastest acting non depolarizing neuromuscular blocker:-
1. Succinylcholine
2. Rapacuronium
3. Rocuronium
4. Mivacurium

Correct answer: 2. Rapacuronium

Explanation: Fastest acting neuromuscular blocker is succinylcholine Fastest nondepolarising neuromuscular blocker is rapacuronium but rapacuronium is clinically not in use. 2 nd fastest nondepolarising neuromuscular blocker is rocuronium. Mivacurium : shortest but not fastest.